For Carcinoma of the prostate the commonest site is -
1. Anterior zone
2. Peripheral zone
3. Central zone
4. Transitional zone

Correct answer: 2. Peripheral zone

Explanation: Ans. is 'b' i.e., Peripheral zone o Carcinoma arise most commonly from ---- Peripheral zoneo Benign prostatic hyperplasia arise from---- Transitional zone